Which of the following sign is not seen in hypertrophic pyloric stenosis
1. String sign
2. Shoulder sign
3. Double track sign
4. Troseier sign

Correct answer: 4. Troseier sign